Following is a clinical feature of cerebellar disease-
1. Paralysis
2. Sensory deficit
3. Ataxia
4. Resting tremors

Correct answer: 3. Ataxia